New born term baby born by vaginal delivers' had respiratory' distress, grunt, with scaphoid abdomen -Most probable diagnosis is -
1. HMD
2. Diphragmatic hernia
3. Pneumothorax
4. Meconium aspiration syndrome

Correct answer: 2. Diphragmatic hernia

Explanation: Ans. is 'b' i.e., Diaphragmatic hernia o Diaphragmatic Hernia is defined as a communication between abdominal & thoracic cavities with or without abdominalContents in thorax.MC Bochdalek type.More common on left (85%)30% of CDH have associated anomalesCardiac anomalis is MC anomalis.In cardiac (Hypoplastic left heart syndrome most common).o X ray showing multiple gas locales within the lower left chest, the majority of the rest of the left lung opacified. The left hemidiaphragm can not be seen. The mediastinum and the heart are deviated to the contralateral right side.